If the mean cholesterol value of a group of normal subjects is 230mg% with standard error of 10. The 95% confidence limits for the population:
1. 220 & 240
2. 210 & 250
3. 200 & 260
4. 210 & 240

Correct answer: 2. 210 & 250